Eradication is possible in all of the following diseases except:
1. Measles
2. Polio
3. Tuberculosis
4. Dracunculosis

Correct answer: 3. Tuberculosis

Explanation: Ans: cRef: Park, 17th ed, p. 83 & 18th ed, p. 87